All of the following are more commonly seen in Klebsiella Pneumonia than in Pneumococcal Pneumonia, Except:
1. Lower lobe involvement
2. Abscess Formation
3. Pleural Effusion
4. Cavitation

Correct answer: 1. Lower lobe involvement

Explanation: Answer is A (Lower Lobe Involvement): Pneumococcal pneumonias have predilection to involve the right lower lobe, whereas Klebsiella usually affects one of the upper lobes. Features Pneumococcal Pneumonia Klebsiella Pneumonia Consolidation Pattern * Lobar Consolidation with positive air bronchogram sign * Lobar Consolidation with positive air bronchogram sign Lobe Predilection * Predilection to involve Lower Lobe (Any lobe may be involved) * Usually Unilobar (Usually do not expand involved lobe) * Predilection to involve Upper Lobe (Any lobe may be involved) * Often Multilobar (Tendency to expand involved lobe) Abscess * Abscess formation uncommon * Abscess Formation common Pleural Effusion * Pleural Effusion uncommon * Pleural Effusion common Cavitation * Cavitation is rare * Cavitation is common